Not used as graft material in peripheral vascular disease
1. Dacron graft
2. Vein
3. PTFE
4. PVC

Correct answer: 4. PVC